All of the following are excitatory neurotransmitters except
1. Gamma-aminobutyric acid
2. Acetylcholine
3. Dopamine
4. Serotomin

Correct answer: 1. Gamma-aminobutyric acid

Explanation: GABA is the major inhibitory mediator in the brain, including being responsible for presynaptic inhibition. GABA, which exists as b-aminobutyrate in the body fluidsReference: Ganong review of medical physiology 23rd edition Page no; 141